An albino girl gets married to a normal boy. What are the chances of their having an affected child and what are the chances of their children being carriers ?
1. None affected, all carriers
2. All normal
3. 50% carriers
4. 50% affected, 50% carriers

Correct answer: 1. None affected, all carriers

Explanation: Albinism as an autosomal recessive disorder.

Also know
Autosomal recessive disorders